True about anesthesia circuit is:
1. Bain circuit is best suited for spontaneous respiration
2. Mapleson F circuit is used for children <6 years
3. Schimmelbusch mask is a type of semi closed circuit
4. Fresh gas flow in bain circuit is equal to minute ventilation for spontaneous ventilation

Correct answer: 2. Mapleson F circuit is used for children <6 years

Explanation: Bains circuit is circuit of choice for controlled ventilation. MAPLESON A or the Magill circuitis the circuit of choice for spontaneous ventilation. Baincircuit is a coaxial modification of the Mapleson D circuit. It consists of a fresh gas flow inlet, a narrow inner tube, a corrugated outer tube, a reservoir (breathing) bag, an adjustable pressure limiting valve and a facemask at the patient end. Itdoes nothave aCarbon dioxide absorberunlike the circle breathing systems. Rebreathing of carbon dioxide is prevented by an adequate fresh gas flow and by the presence of adjustable pressure release valve. The exhaled carbon dioxide flows through the outer corrugated tube and out this valve from where it can be scavenged. The fresh gas flows through the inner tube. When anesthetic gas inflow is much greater than the uptake by the patient and the circuit, excess pressure builds up, which leads to the opening of the adjustable pressure valve and expelling out of the gases. The reservoir bag as the name suggests, serves as a reservoir of anesthetic gases and to generate positive pressure ventilation. scheimmblebush mask is mask used for delivering ether